Maastricht classification of category 3 stands for DCD donor
stands for
1. Brought dead
2. Cardiac arrest during brain dead
3. Cardiac arrest and unsuccessful resuscitation in hospital
4. Awaiting cardiac arrest after withdrawl of life support

Correct answer: 4. Awaiting cardiac arrest after withdrawl of life support